In a cohort study nonsmokers were found to have carcinoma lung. This indicates-
1. Smoking does not cause lung cancer
2. Etiology for lung Ca is multi factorial
3. Smoking is the only cause of lung cancer
4. Passive smoking also increase lung cancer

Correct answer: 2. Etiology for lung Ca is multi factorial

Explanation: Cohort study is also known as incidence study. The cohorts are identified prior to the appearance of disease under investigation. The study group so defined are observed over a period of time to determine the frequency of disease among them. Ref: 25th edition, Park's Textbook of Preventive and Social Medicine, Page no. 83